Ring sequestrum is seen in
1. Typhoid osteomyelitis
2. Chronic osteomyelitis
3. Amputation stump
4. Tuberculosis osteomyelitis

Correct answer: 3. Amputation stump

Explanation: C i.e. Amputation Stump Excessive periosteal stripping is contraindicated as it may result in formation of ring sequestrum in amputation stumpQType of Sequestrum Found InRing sequestrum - Amputation stumpsQ - Around pin tracks (external fixator)Tubular sequestrum - Hematogenous osteomyelitis - Segmental fractures (middle segment)Rice grain sequestrum - Tuberculosis